Which of these is LEAST LIKELY to cause Post-Menopausal bleeding in a woman with uterine prolapse?
1. Bleeding disorder
2. Vaginal atrophy
3. Cancer Cervix
4. Decubitus ulcer on prolapse

Correct answer: 1. Bleeding disorder

Explanation: Bleeding disorders are less likely to present in Post-Menopausal age group Senile vaginal atrophy may be associated with prolapse uterus and is a common cause of Post-Menopausal bleeding cervical malignancy is the most common cause of Post-Menopausal bleeding in India decubitus ulcers occuron the most dependent part of prolapse and may cause bleeding